Maximum infection of CMV is seen after what duration post transplantation ?
1. Immediate
2. < 1 month
3. 1-4 months
4. > 6 months

Correct answer: 3. 1-4 months

Explanation: .Therapeutic invasive procedures may be in the form of IV cannula, bladder catheter, tracheostomy and other minor surgical procedures which permit the skin organisms like staphylococcus epidermidis to penetrate the skin and invade the deeper tissues. Organisms Bacteria: Gram-negative: E. coli, Pseudomonas, Klebsiella, Proteus, Serratia. Gram-positive: Staphylococcus epidermidis, Streptococcus pneumoniae. Viruses: Herpes, CMV, Varicella zoster, may cause fatal pneumonia. ref:SRB's manual of surgery,ed 3,pg no 59